All are true about FTA-ABS in Syphilis, except:
1. FTA - ABS becomes negative after treatment
2. Present in secondary syphilis
3. It is a specific test
4. May be positive in Lyme's disease

Correct answer: 1. FTA - ABS becomes negative after treatment

Explanation: Ans. is 'a' i.e., FTA-ABS becomes negative after treatment(Ref: Ananthanarayan, 9th/e, p. 370,375 and 8th/e, p. 376-377; Harrison, 18th/e, p. 1385, 17th/e, p. 1043, 19th/e, p. 1132)Specific treponemal tests (FTA-ABS, TPHA, TPI) are of little value as indicators of clinical cure, as they tend to remain positive in spite of treatment because of it. Specific tests are not used in monitoring of the treatment. VDRL or RPR can be used for treatment monitoring as specific tests remain positive (reactive) after the treatment.